Gastric lavage is contraindicated in poisoning with:
1. Morphine
2. Kerosene
3. Carbolic acid
4. Diazepam

Correct answer: 2. Kerosene

Explanation: B i.e. Kerosene